Commonest symptom of hysteria is -
1. Motor or sensory phenomena
2. Hypochondriasis
3. Irrelevant talk
4. Fugue

Correct answer: 1. Motor or sensory phenomena

Explanation: Most common symptoms of hysteria Sensory or motor (i.e. symptoms of conversion disorder).